Acute endocarditis with abscess is most commonly associated with ?
1. Listeria
2. Staphylococcus
3. Streptococcus
4. Enterococcus

Correct answer: 2. Staphylococcus

Explanation: The cause is typically a bacterial infection and less commonly a fungal infection. Risk factors include valvular heart disease including rheumatic disease, congenital heart disease, artificial valves, hemodialysis, intravenous drug use, and electronic pacemakers. The bacteria most commonly involved are streptococci or staphylococci. Diagnosis is suspected based on symptoms and supported by blood cultures or ultrasound. There is also a noninfective form of endocarditis. The usefulness of antibiotics following dental procedures for prevention is unclear. Some recommend them in those at high risk.Treatment is generally with intravenous antibiotics. The choice of antibiotics is based on results of blood cultures. Occasionally heart surgery is required. The number of people affected is about 5 per 100,000 per year.Rates, however, vary between regions of the world. Males are affected more often than females. The risk of death among those infected is about 25%.Without treatment it is almost universally fatal. Ref Harrison20th edition pg 1768